Cerebellar connection to other parts of the brain is projected through which cell:
1. Golgi cells
2. Basket cells
3. Purkinje cells
4. Oligodendrocytes

Correct answer: 3. Purkinje cells

Explanation: C i.e. Purkinje cells